Bright red blood in stools is suggestive of all except-
1. Hemorrhoids
2. Gastric Ulcer
3. Fistula inAno
4. Rectal cancer

Correct answer: 2. Gastric Ulcer

Explanation: Ans. is 'b' i.e., Gastric Ulcer Causes of lower gi bleed (bright red blood)o Diverticulosiso CA Colon/Rectumo Anal Fissureo Angiodysplasia ofo Hemorrhoidso Colonic Polypo Fistula in ano